Drug used in neoadjuvant chemotherapy in Ca Esophagus is:
1. 5 FU + Cisplatin
2. Cisplatin
3. Adriamycin
4. Mitomycin C

Correct answer: 1. 5 FU + Cisplatin

Explanation: Ref: Ilson DH. Esophageal Cancer Chemotherapy: Recent Advances. Castrointest Cancer Res. 2008 Mar-Apr; 2(2): 85-92.Explanation:"Cisplatin/5-FU-based chemotherapy is now a therapy standard in the preoperative treatment of esophageal squamous ceil Ca and gastroesophageal junction adenocarcinoma. "Neoadjuvant chemotherapyNeoadjuvant Chemotherapy is the administration of therapeutic agents before a main treatment. Neoadjuvant therapy aims to reduce the size or extent of the cancer before using radical treatment intervention, thus making procedures easier and more likely to succeed, and reducing the consequences of a more extensive treatment technique that would be required if the tumor wasn't reduced in size or extent.Neoadjuvant chemotherapy in Ca EsophagusCombination chemotherapy is preferred over single agent due to better response ratesSINGLE-AGENT CHEMOTHERAPY - ObsoleteBleomycin,5-fluorouracil (5-FU)Cisplatin. andMitomycinCarboplatinTaxanes and Other New AgentsOxaliplatinCapecitabineVindesine and vinorelbinePaclitaxelDocetaxelEtoposideCOMBINATION CHEMOTHERAPYCisplatin and 5-FU - Most widely usedEpirubicin/Cisplatin/5-FUPaclita.xel/Cisplatin/5-FUDocetaxel/Cisplatin/5-FUIrinotecan Plus 5-FUOxaliplatin/Capecitabine vs. Cisplatin/5-FUNON-CISPLATIN/5-FU-BASED REGIMENSBleomycin & doxorubicinTaxanes and irinotecan.Docetaxel & irinotecanDocetaxel and vinorelbineIrinotecan & mitomycin